A 30-year-old male presents to ER with multiple episodes of chest pain, lasting between 10-20 minutes over the last 2 hours. He admits that he did "a bit of coke" at a house party. Clinical assessment reveals: Pulse: 95/min, Blood pressure: 135/93mm Hg, Sp02= 97% on room air. ECG during a further chest pain episode reveals ST elevation in leads V2-V6 and Troponin T is negative.Which of the following is the most appropriate intervention for this patient?
1. Percutaneous coronary intervention
2. Enoxaparin
3. Calcium channel blocker
4. Atenolol

Correct answer: 3. Calcium channel blocker

Explanation: Cocaine leads to coronary vasoconstriction & ECG will show ST elevation. Option A: No, PCI because it is not case of STEMI, it is case of Cocaine vasoconstriction so dilate the vessel. Option B: Enoxaparin given to prevent development of re-occlusion of blood vessel or to prevent redevelopment of thrombus in case of MI. Option C: Calcium channel blocker Option D= b Blocker will not relieve vasospasm. Types of Mi Causes 1 MI Due to coronary artery thrombosis or coronary artery dissection 2 MI Anemia (severe), Cocaine overdose 3 MI Sudden cardiac death 4A MI During PCI 4B MI Latent stent thrombosis 5 MI During CABG